Froment's sign is characteristically seen in -
1. Ulnar nerve injury
2. Median nerve injury
3. Radial nerve injury
4. Intercostobrachial nerve injury

Correct answer: 1. Ulnar nerve injury

Explanation: Ans. is 'a' i.e., Ulnar nerve injury o Repeat from All India Dec-15